All the following are World Health Assembly Global Nutrition Targets for 2025 except _________
1. A 40% reduction in the number of stunted children <5 yr
2. A 30% reduction in low birthweight
3. No increase in childhood overweightness
4. Reduce and maintain childhood wasting to less than 1%

Correct answer: 4. Reduce and maintain childhood wasting to less than 1%

Explanation: Global Food Security and Nutrition Targets ZERO HUNGER CHALLENGE OBJECTIVES WORLD HEALTH ASSEMBLY GLOBAL NUTRITION TARGETS FOR 2025 Access to an adequate and stable food supply for all A 40% reduction in the number of stunted children <5 yr Elimination of stunting in children <2 yr and no malnutrition in pregnancy and early childhood A 50% reduction in anemia in women of reproductive age Sustainable food systems A 30% reduction in low birthweight Doubling of smallholder productivity and income, particularly for women No increase in childhood overweightness No loss or waste of food and responsible consumption Increase exclusive breastfeeding rates to at least 50% in the first 6 months Reduce and maintain childhood wasting to less than 5% Reference: Nelson; Page no: 297; Table: 46-1